Large Intracytoplasmic glycogen storage is seen in which of malignaney -
1. Osterosarcoma
2. Mesenchymal chondrosarcoma
3. Ewing's sarcoma
4. Leiomyosarcoma

Correct answer: 3. Ewing's sarcoma

Explanation: Ans. is 'c' i.e., Ewing's sarcoma